Mediastinoscope can be visualize all of the following lymphnode except?
1. Right paratracheal lymphnode
2. Aorto pulmonary window lymphnode
3. Anterior tracheal
4. Subcarinal

Correct answer: 2. Aorto pulmonary window lymphnode

Explanation: Mediastinoscopy is a surgical procedure used to obtain specimens from masses or nodes in the mediastinum.Suprasternal approach is commonly used for mediastinoscopy.Aortopulmonary lymph nodes are not accessible by this route and thus are commonly sampled by parasternal mediastinotomy (the Chamberlain procedure). Extended mediastinoscopy is a technique which allows access to the pre-aortic (station 6) and aortopulmonary window(station 5) lymph nodes.